Vitiligo is commonly associated with ?
1. Celiac sprue
2. PCOD
3. Diabetes
4. Alpha -1 antitrypsin deficiency

Correct answer: 3. Diabetes

Explanation: Ans. is 'c' i.e., Diabetes * Vitiligo is associated with the following autoimmune diseasesi) Alopecia areataii) Pernicious anemiaiii) Diabetes mellitusiv) Addison diseasev) Hyperthyroidism (Grave's disease)vi) Hypothyroidism (Hashimoto thyroiditis)vii) Multiple endocrinopathy syndromes (MEN)